Lupus erythematosus is
1. Reactive Lesion
2. Degenerative condition
3. Autoimrnune disorder
4. Neoplastic condition

Correct answer: 3. Autoimrnune disorder